Extravascular hemolysis causes -
1. Hemoglobinemia
2. Hemosiderinuria
3. Jaundice
4. All

Correct answer: 3. Jaundice